Which of the following is NOT associated with ankylosing spondylitis:
1. SLE
2. Reiter's syndrome
3. Psoriatic arthropathy
4. Crohn's disease

Correct answer: 1. SLE

Explanation: Ankylosing spondylitis is an inflammatory disorder of unknown cause Primarily affects the axial skeleton; peripheral joints and extraarticular structuresOlder names: Marie-Strumpell disease or Bechterew's diseaseTypically associated with HLA-B27(ref:Harrison's 18/e p2774, 2775)